Which one of the following drugs is the most common cause of progressive multifocal leukoencephalopathy?
1. Natalizumab
2. Cituximab
3. Rituximab
4. Bevacizumab

Correct answer: 1. Natalizumab

Explanation: Causes of progressive multifocal leukoencephalopathy:AIDSHematological malignanciesTransplant recipientsChronic inflammatory diseasesNatalizumab, a humanized monoclonal antibody(ref:Harrison's 18/e p3427)